ST segment elevation is seen in:
1. Prinzmetal's angina
2. Acute pericarditis
3. Acute MI
4. All of the above

Correct answer: 4. All of the above

Explanation: Ans. D: All of the above Differential Diagnosis of ST Segment Elevation: Ischemic Heart Disease (usually convex upwards, or straightened) - Acute transmural injury (acute anterior MI) Persistent ST elevation after acute MI suggests ventricular aneurysm - ST elevation may also be seen as a manifestation of Prinzmetal's (variant) angina (coronary artery spasm) Acute Pericarditis - Concave upwards ST elevation in most leads except aVR - No reciprocal ST segment depression (except in aVR) - May see PR segment depression, a manifestation of atrial injury Other Causes: - Left ventricular hypertrophy (in right precordial leads with large S-waves) - Left bundle branch block (in right precordial leads with large S-waves) - Advanced hyperkalemia - Hypothermia (prominent J-waves or Osborne waves)